Patients with sickle cell anemia are prone to infections with -a) Staph. aureusb) Pneumococcusc) H. influenzad) Gonococcus
1. a
2. c
3. ac
4. bc

Correct answer: 4. bc